McCune-Albright syndrome is characterized by?
1. Delayed puberty
2. Hypoparathyroidism
3. Neurofibromas
4. Cafe-au-lait macules

Correct answer: 4. Cafe-au-lait macules

Explanation: ANSWER: (D) Cafe-au-lait maculesREF: OP Ghai 6th ed p. 491Me Cune Albright syndrome is characterized byCafe-au-lait spotsPrecocious pubertyPolyostotic fibrous dysplasiaEndocrinopathy-hypothyroidism